Anacrotic pulse in seen in which of the following condition
1. Aortic regurgitation
2. Mitral regurgitation
3. Mitral stenosis
4. Aortic stenosis

Correct answer: 4. Aortic stenosis

Explanation: A weak and delayed pulse ( pulsus parvus et tardus ) defines severe aortic stenosis (AS). Some patients with AS may also have a slow, notched, or interrupted upstroke (anacrotic pulse) with a thrill or shudder. With chronic severe AR, by contrast, the carotid upstroke has a sharp rise and rapid fall-off (Corrigan's or waterhammer pulse). ref : Harrison's principle of internal medicine,20th editionpg no.1553